All of the following conditions are associated with clubbing except:
1. Bronchogenic carcinoma
2. Chronic bronchitis
3. Empyema
4. Bronchiectasis

Correct answer: 2. Chronic bronchitis

Explanation: Ans: B i.e. Chronic bronchitis Causes of clubbing Respiratory causes of digital clubbing includes bronchogenic carcinoma, asbestosis (especially with mesothelioma), suppurative lung disease (empyema, Bronchiectasis, cystic fibrosis), fibrosing alvelolitis etc. Finger clubbing is not a feature of COPD and should trigger further investigation for lung cancer, Bronchiectasis or fibrosis